Poirier's triangle is bound by all except:
1. Left bronchus
2. Arch of aorta
3. Left subclavian artery
4. Vertebral column

Correct answer: 1. Left bronchus

Explanation: Thoracic duct is identified within Poirier's triangle which is formed by arch of aorta, left subclavian artery & vertebral column.